Most common benign tumor of bone?
1. Osteoma
2. Osteochondroma
3. Simple bone cyst
4. Osteoid osteoma

Correct answer: 2. Osteochondroma

Explanation: Ans. b (Osteochondroma)Osteochondroma# It is the most common benign bone tumor.0# Usually in men < 25 years of age.# Commonly (exostosis) originates from long metaphysis.# Malignant transformation to chondrosarcoma is rare .# An MRI scan may be used to look for cartilage on the surface of the bony growth. Such cartilage in an adult patient should be checked for cancer if it is larger than 2 cm in size, or there is pain.# An osteochondroma may grow in a child or adolescent. Its growth usually stops at maturity.# Multiple osteochondromatosis is also called multiple osteocartilaginous exostosis, familial osteochondromatosis, multiple hereditary osteochondromatosis, or diaphyseal aclasia. About 70 percent of the time, it is inherited. There is increased risk of malignant transformation.# Multiple enchondromatosis (Olier's disease) is a different entity characterized by occurrence of multiple enchondro- mas. It is not inheritable disease.BRIEF REVIEW OF OTHER COMMON PRIMARY BONE TUMORSEnchondroma# Benign cartilaginous neoplasm found in intramedullary bone.# Usually distal extremities (vs. chondrosarcoma).# Phalanx is most common siteOsteosarcoma# Most common 1deg malignant tumor of bone. Q# Peak incidence in men 10-20 years old.# Commonly found in the metaphysis of long bones. Q# Predisposing factors: Paget's disease, bone infarcts, radiation, familial retinoblastoma.# Codman's triangle (from elevation of periosteum) on X-ray.Chondrosarcoma# Malignant cartilaginous tumor.# Most common in men aged 30-60.# Usually located in pelvis, spine, scapula Q, humerus, tibia, or femur.# Mottled areas of calcification are characteristic, as in other chondrogenic tumors# Hyperglycemia may be +.